In which of the following poisonings Mc Ewan Sign is seen?
1. Acute alcohol intoxication
2. Carbon Monoxide poisoning
3. Barbiturate poisoning
4. Carbolic acid poisoning

Correct answer: 1. Acute alcohol intoxication

Explanation: In acute alcohol intoxication when patient goes to the stage of coma, the pupils are contracted but stimulation of the patient cause them to dilate with slow return. This is known as Mc Ewan Sign. Carbolic acid poisoning: Odour of breath, white patches on lips and mouth and carboluria. Carbon Monoxide poisoning: History of exposure to poisoning with gas, intermittent convulsions, cherry red colour of skin and carboxyhemoglobin in blood. Barbiturate poisoning: Shallow respiration, deep coma, no response to painful stimuli, deep reflexes are depressed, subnormal temperature, low blood pressure, dilated pupils. Ref: The Essentials of Forensic Medicine and Toxicology 29th Ed Page 511.